Spontaneous CSF leaks may be associated with all, Except:
1. Increased Intracranial Tension
2. Pseudotumor cerebri
3. Empty Sella Syndrome
4. None

Correct answer: 4. None

Explanation: Answer is None (May be associated with all of the above) 'Diagnostic Nuclear Medicine' by Sandler, Coleman & Patton (Lippincott-Williams) 4th (2003)/ 838;